Strawberry cervix is caused by
1. Trichomonas vaginalis
2. Neisseria
3. Candidiasis
4. Chlamydia

Correct answer: 1. Trichomonas vaginalis

Explanation: Strawberry cervix is caused by Trichomonas vaginalis. Severe inflammation of the cervix with macular haemorrhages gives it a strawberry appearance and hence the name. Similar inflammation with haemorrhages on the vagina is called colpitis macularis.